Which valve is present at opening of nasolacrimal duct?
1. Hasner's valve
2. Heister valve
3. Spiral valve
4. None

Correct answer: 1. Hasner's valve

Explanation: Nasolacrimal duct opens into inferior meatus and is closed by a mucosal flap called Hasner's valve.Heister valve (spiral valve) is present in cyctic duct.